A neonate at 48 hours of birth with a history of non passage of meconium. Next step in evaluation will be ?
1. Lower GI study
2. Manometry
3. Sweat chloride levels
4. CFTR mutation analysis

Correct answer: 1. Lower GI study

Explanation: Delayed meconium passage(generally defined as non-passage within the first 48 hours after birth) is mainly a condition of preterm infants and is reported in up to one third of preterm and low birth weight infants due to factors such as delayed maturation of colorectal motility mechanisms, composition of meconium,. Hence, lower GI study rule out the cause . Reference: GHAI Essential pediatrics, 8th edition